Specific antibody associated with primary biliary cirrhosis is:
1. Anti-myosin
2. Anti-nuclear
3. Anti-mitochondrial
4. Anti-endomysial

Correct answer: 3. Anti-mitochondrial

Explanation: Ans. C: Anti-mitochondrial Primary biliary cirrhosis is strongly associated with the presence of anti-mitochondrial antibodies (AMA), which are diagnostic PBC: Associated with CREST syndrome, sicca syndrome, auto-immune thyroiditis, type I DM and IgA deficiency IgG AMA is detected in more than 90% of patients with PBC 90% of women are between 35 - 60 years Earliest symptom is pruritis Eventually hepatocellular failure and portal hypertension develops Lab findings: - Increased serum alkaline phosphatase - Increased serum 5-nucleotidase activity - Increased gamma-glutamyl transpeptidase - Serum bilirubin is usually normal - Aminotransferase levels minimally increased - Treatment: Ursodiol